Which one of the following is a precursor of both gonadal and adrenocortical hormones?
1. Progesterone
2. Cortisol
3. Testosterone
4. Corticosterone

Correct answer: 1. Progesterone